Poisoning which is illuminous, translucent and waxy?
1. Iodine
2. Ammonium bromide
3. Cobra venom
4. Yellow phosphorus

Correct answer: 4. Yellow phosphorus

Explanation: Features Yellow/white phosphorus Red phosphorus Colour and appearance White, waxy, crystalline translucent soft cylinders. On exposure to air becomes yellow Violet-red, amorphous mass Taste and odour Garlicky odour and taste Odourless and tasteless Luminosity in dark Luminous Not luminous Exposure to air Phosphorescence Not Phosphorescence Toxicity Highly toxic Non-toxic REF;THE SYNOPSIS OF FORENSIC MEDICINE:KS NARAYANA REDDY;28th EDITION;PAGE NO312